The classic triad of ruptured ectopic pregnancy includes all except-
1. Fainting
2. Abdominal pain
3. History of amenorrhoea
4. Vagina] bleeding

Correct answer: 1. Fainting

Explanation: Ans. is 'a' i.e., Fainting Classic triad of ectopic pregnancyPainHistory of AmenorrhoeaVaginal bleedingThe symptoms of patient with ruptured ectopic pregnancy are as follows:o Classic triad of abdominal pain, history-' of amenorrhoea and vaginal bleeding.o Abdominal pain is the most constant feature with acute agonizing colicky type of pain.o Shoulder pain may be present due to diaphragmatic irritation from hemoperitoneum leading to referred shoulder pain.o Vomiting and fainting attacks are observed in 10% of the patients due to reflex vasomotor disturbances following peritoneal irritation from hemoperitoneum.